Exclamation mark hair pattern is seen in
1. Alopecia areata
2. Androgenic alopecia
3. Anagen effluvium
4. Telogen effluvium

Correct answer: 1. Alopecia areata

Explanation: Alopecia areata - autoimmune condition Exclamation mark - These are broken hair follicles with broad distal and thin proximal shaft It is pathognomonic of alopecia areata but not always found.